Child able to draw a cross at which age?
1. 4 years
2. 5 years
3. 2 and half years
4. 3 years

Correct answer: 1. 4 years

Explanation: 4 years - Copies a rectangle or cross or plus sign Nelson Textbook of Pediatrics clearly states child copies cross at 48 months i.e. 4 years of age So the answer is option A: 4 years